Most plausible factor for dental implant fracture
1. Peri-implantitis
2. Bending overloads
3. Non-passive fit prosthesis
4. Manufacturing imperfections

Correct answer: 2. Bending overloads